Which of the following is increased in lipoprotein lipase deficiency:
1. VLDL
2. LDL
3. HDL
4. Chylomicrons

Correct answer: 4. Chylomicrons

Explanation: D i.e. Chylomicrons